Not a cell adhesion molecule
1. Integrin
2. Selectin
3. Cadherin
4. Spectrin

Correct answer: 4. Spectrin

Explanation: Spectrin is a peripheral proteinAdhesive glycoproteins and adhesion receptors are structurally diverse molecules variously involved in cell-to-cell adhesion, linking cells to the ECM, and the interactions between ECM components. Prototypical adhesive glycoproteins include fibronectin (a major component of the interstitial ECM) and laminin (a major constituent of basement membrane). Integrins are representative of the adhesion receptors, also known as cell adhesion molecules(CAMs); the CAMs also include immunoglobulins, cadherins, and selectins.Ref: Robbin's; 9th edition; Chapter 1; The Cell as a Unit of Health and Disease